Gyrate atrophy is a retinal degenerative disease involving deficiency of ornithine transcarbamoylase enzyme. Such patients are benefited by
1. Ornithine free diet
2. Arginine free diet
3. Pyridoxine and folic acid
4. Vitamin B1, B6 and B12

Correct answer: 2. Arginine free diet

Explanation: Ans. b. Arginine free diet